True statement about rheumatization of MVa) Fusion & shortening of chordae tendineae in MSb) Calcification of MVc) Aortic dilationd) Annular involvement
1. acd
2. bcd
3. abc
4. abd

Correct answer: 4. abd